Not a feature of Horner syndrome:
1. Exophthalmos
2. Ptosis of upper eyelid
3. Miosis
4. Conjunctival congestion

Correct answer: 1. Exophthalmos

Explanation: Ans : A (Exophthalmos) "The triad of miosis with ipsilateral ptosis and anhidrosis constitutes Horner's syndrome, although anhidrosis is an inconstant feature. Brainstem stroke, carotid dissection, or neoplasm impinging upon the sympathetic chain are occasionally"Horner's syndrome- miosis, ptosis, anhydrosis, enophthalmos & loss of ciliospinal reflex"- BDC 4th/VoI. I 53"Horner's syndrome (also Horner syndrome, Bernard-Horner syndrome, Claude Bernard-Horner syndrome or as oculosympathetic palsy) is the combination of drooping of the eyelid (ptosis) and constriction of the pupil (miosis), sometimes accompanied by decreased sweating of the face on the same side; redness of the conjunctiva of the eye is often also present. It indicates a problem with the sympathetic nervous system, a part of the autonomic nervous system"-www.m wMpecfaj.orgSigns and Symptoms www.en.wikipedia.orgSigns that are found in all patients on the affected side of the face include# Partial ptosis (drooping of the upper eyelid from loss of sympathetic innervation to the superior tarsal muscle, also known as Muller's muscleUpside-down ptosis (slight elevation of the lower lid)Anhidrosis (decreased sweating on the affected side of the face)Miosis (small pupils)Enophthalmos (the impression that the eye is sunk in)Loss of ciliospinal reflexBloodshot conjunctiva, depending on the site of less/on.Note:Sometimes there is flushing on the affected side of the face due to dilation of blood vessels under the skin. The pupil's light reflex is maintained as this is controlled via the parasympathetic nervous system.In children, Horner's syndrome sometimes leads to heterochromia: a difference in eye color between the two eyes.